Not true about visceral pleura ?
1. Pain insensitive
2. Supplied by phrenic nerves
3. Has three borders
4. Develops from splanchnopleural mesoderm

Correct answer: 2. Supplied by phrenic nerves

Explanation: Ans. is 'b' i.e., Supplied by phrenic nervesPleuraPleura is a serous membrane covering the lung. There are two layers of pleura :- (i) Visceral (pulmonary) pleura intimately invests the lungs and is developed from splanchnopleural mesoderm, and (ii) Parietal pleura is developed from smatopleural mesoderm. Parietal pleura is divided into 4 parts (i) cervical (dome), (ii) costal, (iii) diaphragmatic, and (iv) mediastinal.Lines of pleural reflection are ?1. Lower border (costodiaphragmatic line of pleural reflection) :- Starts at xiphistemal joint, crosses midclavicular line at 8th rib and midaxillary line at 10th rib and ends posteriory 2 cm lateral to spinous process of T1, vertebra.2. Anterior border (costomediastinal line of pleural reflection) :- It differs on right and left side.Right side :- Begining from sternoclavicular joint, it descends downwards and medially to reach sternal angle close to midling and further extends upto xiphisternal joint (upto 6th sternochondral joint) in midline.Left side :- Begining from stenoclavicular joint, it descends downward and medially to sternal angle and then descands vertically close to midline upto 4th rib. Below this level it deviates away from midline lying lateral (2-15 mm) to sternal margin to reach the 6th sternochondral junction. This deviation is known as cardiac notch of pleura. Due to this, the left half of lower part of body of sternum is directly related to peircardium without intervening pleural sac. This area is known as superficial area of cardiac dullness.3. Posterior border :- Extends from a point 2 cm lateral to 7th cervical vertebra to a point 2 cm lateral to the 12th thoracic beebra.Pleural innervationParietal pleura is pain sensitive and is supplied by intercostal and phrenic nerves. The costal and peripheal part of diaphragmatic pleura is supplied by intercostal nerves and the mediastinal and central part of diaphragmatic pleura is supplied by phrenic nerve.Pulmonary (visceral) pleura is pain insensitive and is innervated by autonomic nerves (sympathetic from T2-T5 spinal nerves and parasympathetic from vagus).